Secondary deviation is more than primary deviation is a feature of
1. Accommodative squint
2. Paralytic squint
3. Infantile esotropia
4. Alternate exotropia

Correct answer: 2. Paralytic squint

Explanation: Broadly, strabismus can be classified as below:I. Apparent squint or pseudostrabismus.II. Latent squint (Heterophoria)III. Manifest squint (Heterotropia)1. Concomitant squint2. Incomitant squint INCOMITANT SQUINTIt is a type of heterotropia (manifest squint) in which the amount of deviation varies in different directions of gaze. It includes following conditions:1. Paralytic squint,2. 'A' and 'V' pattern heterotropias,3. Restrictive squint PARALYTIC STRABISMUSIt refers to ocular deviation resulting from complete or incomplete paralysis of one or more extraocular muscles Primary deviation. It is deviation of the affected eye and is away from the action of the paralyzed muscle, e.g., if lateral rectus is paralyzed the eyeis converged.2. Secondary deviation. It is a deviation from the normal eye seen undercover when the patient is made to fix with the squinting eye. It is greater than the primary deviation. This is due to the fact that the strong impulse of innervation required to enable the eye with the paralyzed muscle to fix is also transmitted to the yoke muscle of the sound eye resulting in a greater amount of deviation. This is yoke muscles. In Paralytic squint, the secondary deviation is more than the primary deviation. Reference: Khurana Ophthalmology; 4th edition; Strabismus and Nystagmus